Not a feature of Cystic fibrosis among the following is
1. Delayed passage of Meconium
2. Steatorrhea
3. Oligospermia
4. Late onset Diabetes

Correct answer: 3. Oligospermia

Explanation: Azoospermia is seen in Cystic fibrosis, not Oligospermia.